Most common Glomerulonephritis associated with HIV :
1. Focal Segmental Glomerulosclerosis
2. Diffuse glomerulosclerosis
3. Membrano-proliferative glomerulonephritis
4. Crescentic glomerulonephritis

Correct answer: 1. Focal Segmental Glomerulosclerosis

Explanation: Ans. (a) Focal Segmental GlomerulosclerosisRef: Robbins pathology 9th ed. /918-920Depending on the cause focal segmental glomerulosclerosis is broadly classified as:* Primary, when no underlying cause is found; usually presents as nephrotic syndrome* Secondary, when an underlying cause is identified; usually presents with kidney failure and proteinuria. This is actually a heterogeneous group including numerous causes such as Infections such as HIV (known as HIV- Associated Nephropathy)Other Causes of FSGS* Toxins and drugs such as heroin and pamidronate* Chronic pyelonephritis* V.U.R